Actions of bradykinin include all of the following, except
1. Vasodilatation
2. Bronchodilatation
3. Increased vascular permeability
4. Pain

Correct answer: 2. Bronchodilatation

Explanation: ref robbins 9th ed pg90 Functions of bradykinin contraction of smooth muscle pain dilatation of the venules Reaction of Inflammation Principal mediators vasodilation histamine, prostaglandins Increased vascular permeability histamine and serotonin ; C3a,C5a ; leukotrienes C4,D4,E4 ; bradykinin pain prostaglandins and bradykinin